Which of the following joints findings is most suggestive of an inflammatory, rather than an osteroarthritic cause of joints pain ?
1. Painful range of motion
2. Crepitus
3. Bony articular enlargement
4. Swelling and warmth

Correct answer: 4. Swelling and warmth